A 27-year-old woman has suffered a gunshot wound to her mid abdomen. After examining the patient's angiogram, a trauma surgeon locates the source of bleeding from pairs of veins that typically terminate in the same vein. Which of the following veins are damaged?
1. Left and right ovarian veins
2. Left and right gastroepiploic veins
3. Left and right colic veins
4. Left and right hepatic veins

Correct answer: 4. Left and right hepatic veins

Explanation: The right and left hepatic veins drain into the inferior vena cava. The right gastroepiploic vein drains into the superior mesenteric vein, but the left one drains into the splenic vein. The right gonadal and suprarenal veins drain into the inferior vena cava, whereas the left ones drain into the left renal vein. The right colic vein ends in the superior mesenteric vein, but the left one terminates in the inferior mesenteric vein.